All of these are predisposing lesions for Ca vulva, EXCEPT?
1. Pagets disease
2. Lichen sclerosis
3. VIN
4. Familial cancer syndromes

Correct answer: 4. Familial cancer syndromes

Explanation: Predisposing lesions for ca vulva are: lichen sclerosus VIN Pagets disease of vulva Bowens disease